Lining of oesophagus is
1. Stratified columnar
2. Stratified cuboidal
3. Keratinised stratified squamous
4. Non keratinised stratified squamous

Correct answer: 4. Non keratinised stratified squamous